42 year old male presented with high grade fever with hepatosplenomegaly. At the time of admission he was very sick. On detailed evaluation doctor noticed a skin lesion on the thigh suggestive of eschar. Patient was diagnosed to have srub typhus. He is BEST treated with:
1. Oral Doxycycline
2. Oral Erythromycin
3. IV ceftriaxone
4. IV gentamicin

Correct answer: 1. Oral Doxycycline

Explanation: Srub typhus patients presents with high fever, eschar, regional lymphadenopathy. It is treated with: DOC: Oral doxycycline 100 BD for 7-14 days Alternatives, Azithromycin 500 for 3 days or chloramphenicol Ref: Harrison, Edition-18, Page.